Morphine withdrawal is characterized by all except-
1. Miosis
2. Muscle aches and body pain
3. Yawning
4. Rhinorrhoea

Correct answer: 1. Miosis

Explanation: Ans. is 'a' i.e., Miosis Morphine withdrawal o Manifestations of morphine withdrawl. Lacrimation Anxiety & fear Mydriasis Diarrhea Palpitation Sweating Restlessness Insomnia Dehydration Rapid weight loss Yawning Gooseflash (Piloerection) Abdominal colic Rise in BP